Characteristic hallucination of schizophrenia is -
1. Auditory hallucinations commanding the patient
2. Auditory hallucinations giving running commentary
3. Auditory hallucinations criticizing the patient
4. Auditory hallucinations talking to patient

Correct answer: 2. Auditory hallucinations giving running commentary

Explanation: Ans. is 'b' i.e., Auditory hallucinations giving running commentaryo Third person hallucinations, e.g. voices heard arguing, commenting or discussing the patient or giving a running commentary on one's action; are characteristic of schizophreniao In schizophrenia auditory hallucinations are most common type of hallucinations. It can bei. First person hallucination:- Audible self thoughtsii. Second person hallucination:- Voices address the person directly or commanding one's action andiii. Third person hallucination:- voices heard arguing, commenting or discussing the patient or giving a running commentary on his action or thought. Only the "third person hallucinations" are characteristic of schizophrenia.o Visual hallucinations can also occur;o Tactile, gustatory or olfactory hallucinations are rare.